Carcinoma of maxillary sinus stage III {T3 No Mo}, Treatment of choice is
1. Radiotherapy
2. Surgery and Radiotherapy
3. Chemotherapy
4. Chemotherapy and Surgery

Correct answer: 2. Surgery and Radiotherapy

Explanation: T3N0M0: Tumor invading the skin of the cheek, anterior ethmoid, pterygoid muscles and orbit with no nodal involvement and no distant metastasis. In most cases, a combination of surgery and radiotherapy is required. However, depending on histopathological nature, therapy may differ. (Ref: Textbook of diseases of ENT, PL Dhingra, 7th edition, pg no. 234)